For which one of the following tumors Gastrin is a biochemical marker?
1. Medullary carcinoma of thyroid
2. Pancreatic neuroendocrine tumor
3. Pheochromocytoma
4. Gastrointestinal stromal tumor

Correct answer: 2. Pancreatic neuroendocrine tumor

Explanation: Gastrin is secreted by Gastrinomas, which are neuroendocrine tumors most commonly found in duodenum. Gastrinoma:- Type of pancreatic Neuro endocrine tumor(PNET) Patient with MEN I syndrome have more chance of developing gastrinoma. -Other neuroendocrine tumor is carcinoid tumor. -Marker of medullary carcinoma of thyroid is calcitonin and GIST is CD117 (c-kit) -GIST- Mesenchymal tumor.